Direct Coomb's test is positive in hemolytic anemia due to:
1. Paraxysmal cold hemoglobinuria
2. Paroxysmal nocturnal hemoglobinuria
3. Idiopathic thrombocytopenic purpura
4. Hemolytic uremic syndrome

Correct answer: 1. Paraxysmal cold hemoglobinuria

Explanation: Paroxysmal cold hemoglobinuria: Caused by the presence of cold-reacting autoantibodies (anti-P Ab) in the blood - Hence, Direct coombs test is positive. Characterized by the sudden presence of hemoglobinuria, typically after exposure to cold temperatures.